Maximum number of energy rich phosphate is formed from which of the following pathways?
1. Glycolysis
2. Gluconeogenesis
3. HMP shunt
4. Citric acid cycle

Correct answer: 4. Citric acid cycle

Explanation: Ans. is 'd' i.e., Citric acid cycle* Citric acid cycle or Kreb's cycle generates 10 ATPs for every acetyl Co A that enters into citric acid cycle.* Aerobic glycolysis generates 7 ATPS for every molecule of glucose* Anaerobic glycolysis generates 2 ATPs for every molecule of glucose utilised* HMP shunt is a pathway which neither generates ATP nor utilises ATP.